Artery of epistaxis is the name given to
1. Sphenopalatine artery
2. Superior labial artery
3. Anterior ethmoidal artery
4. Mulbery turbinates

Correct answer: 1. Sphenopalatine artery

Explanation: The "artery of epistaxis" is the sphenopalatine branch of the internal maxillary artery. This is called so because this vessel supplies the major portion of the nasal cavity. It enters the nasal cavity at the posterior end of the middle turbinate to supply the lateral nasal wall, it also gives off a septal branch which supplies the nasal septum. Ref: Diseases of ENT by Dhingra 6th edition Pgno : 179,180